Tests for detection of heavy metal:
1. Harrison's Gilroy test.
2. Atomic absorption spectroscopy
3. Neutron activation analysis
4. All

Correct answer: 4. All

Explanation: A i.e. Harrison Gilroy test; B i.e. Atomic absorption Spectroscopy; C i.e. Neutron activation analysis